The breast is supplied by branches of all, EXCEPT:
1. Axillary artery
2. Internal thoracic artery
3. Intercostal arteries
4. None of the above

Correct answer: 4. None of the above

Explanation: The breasts are supplied by branches of the axillary artery, the internal thoracic artery, and some intercostal arteries.